Purtscher's retinopathy is seen in patients with
1. Complication of chronic pancreatitis
2. Occlusion of anterior retinal artery
3. Head trauma
4. Diabetes mellitus

Correct answer: 3. Head trauma

Explanation: (Refer: AK Khurana Comprehensive Ophthalmology, 6th edition, pg no. 428 - 432)Purtscher 's retinopathyThe occurrence of bilateral patches of retinal whitening and hemorrhage around the optic disc in patients who suffered massive head trauma was first described by Purtscher and is called Purtscher's retinopathy. Purtscher's retinopathy is a disease where part of the eye (retina) is damaged. Usually associated with severe head injuries, it may also occur with other types of trauma, such as long bone fractures, or with several non-traumatic systemic diseases. However, the exact cause of the disease is not well understood